Most common complaint of the patient with a thick-
palatal bar in a RPD is:
1. Distortion under occlusal stress
2. Poor dissipation of farce due to rigidity
3. Difficulty in pressing the food backward and swallowing
4. Loss of taste sensation

Correct answer: 3. Difficulty in pressing the food backward and swallowing